Investigation of choice in diffuse esophageal spasm is
1. Manometry
2. Esophagoscopy
3. Barium examination showing tertiary contractions
4. CT thorax

Correct answer: 1. Manometry

Explanation: Investigation of choice for motor disorders (including diffuse esophageal spasm) is esophageal manometry.